Muscle of expiration
1. External intercostal
2. Diaphragm
3. Internal intercostal
4. Serratus anterior

Correct answer: 3. Internal intercostal

Explanation: MUSCLE OF INSPIRATION: Quiet: Diaphragm External intercostals Interchondral part of internal intercostal of contralateral side. Deep: Erector spinae Scalene muscles Pectoral muscles Serratus anterior MUSCLE OF EXPIRATION: Quiet: Passive process d/o inherent quality of lungs Forced: Muscles of anterior abdominal wall with internal intercostal (except interchondral part)